The Fourth compartment of extensor retinaculum has all the following structures except
1. Anterior interosseous artery
2. Posterior interosseous nerve
3. Extensor indices
4. Extensor pollicis longus

Correct answer: 4. Extensor pollicis longus

Explanation: Extensor retinaculum : First compartment - Abductor pollicis longus Extensor pollicis brevis Second compartment - Extensor carpi radialis longus Extensor carpi radialis brevis Third Compartment - Extensor pollicis longus Fourth Compartment - Extensor digitorum Extensor indicis Posterior interosseous nerve Anterior interosseous artery Fifth compartment - Extensor digiti minimi Sixth compartment - Extensor carpi ulnaris Ref: BD Chaurasia Human Anatomy 5e vol 2 pg 126.